Which of the following is not a complication of helicobacter pylori
1. GERD
2. Peptic ulcer disease
3. Maltoma
4. Chronic gastritis

Correct answer: 1. GERD